Posthumous child is:-
1. Child delivered after death of biological mother
2. Child delivered after death of biological father
3. Born after death of parents
4. Has been abandoned by parents

Correct answer: 2. Child delivered after death of biological father

Explanation: Posthumous Child : - It is a child born after the death of its father, the mother being conceived by the said father. - Legal issues involved are: legitimacy, inheritance of property, compensation case for slander against the mother.